Which one of the following is not true regarding fibrolamellar carcinoma?
1. Seen in young adults
2. Better prognosis than HCC
3. Associated with HBV infection
4. Elevated AFP is not seen

Correct answer: 3. Associated with HBV infection

Explanation: Unlike HCC, fibrolamellar Ca is not associated with HBV infection. Fibrolamellar carcinoma characteristically manifests as a large hepatic mass in adolescents or young adults. Most patients present in the 2nd or 3rd decade of life. Cirrhosis; elevated a-fetoprotein levels; and typical risk factors for hepatocellular carcinoma such as viral hepatitis, alcohol abuse, and metabolic disease are typically absent.